A housewife ingests a rodenticide white powder accidentally. Her examination showed generalized flaccid paralysis and an irregular pulse. ECG shows multiple ventricular ectopics, generalized changes within ST-T. Serum potassium is 2.5 mEq/l. The most likely ingested poison is:
1. Barium carbonate
2. Superwarfarins
3. Zinc phosphide
4. Aluminum phosphide

Correct answer: 1. Barium carbonate

Explanation: Ans. Barium carbonate